A 25 years lady presented to doctor with pregnancy of 6 weeks. Of the following, all are signs of an early pregnancy except ?
1. Goodell'sign
2. Hegar's sign
3. Cullen sign
4. Palmer's sign

Correct answer: 3. Cullen sign

Explanation: Goodell's sign- Cervix becomes soft as early as 6th week. Hegar's sign - On a P/V, abdominal & vaginal fingers seems to oppose below the body of uterus seen from 6 weeks Palmer sign - Rhythmic uterine contraction felt in early pregnancy at 8 weeks Cullen sign - Dark bluish discoloration around the umbilicus , if found , suggest intra peritoneal hemorrhage